Afferent component of corneal reflex is mediated by
1. Vagus nerve
2. Facial nerv
3. Trigeminal nerve
4. Glossopharyngeal nerve

Correct answer: 3. Trigeminal nerve

Explanation: Ans. (c) Trigeminal nerveRef: Fuller Neurological examination made easy 3/e, p. 102The afferent component of corneal reflex is mediated through the ophthalmic branch of the trigeminal nerve (Vth nerve).The efferent component is mediated through the facial nerve (VIIth nerve).Following corneal stimulation:* Failure of either side of face to contract = Nasociliary nerve lesion* Failure of only one side to contract = Facial nerve lesion.